In primary spermatocyte chromosome is-
1. 22+X
2. 44+XY
3. 22+Y
4. None of Above

Correct answer: 2. 44+XY

Explanation: Ans. B. 44+XYa. Spermatogenesis - The spermatogonium (44+XY) undergoes mitotic division to form two primary spermatocytes (largest germ cells).b. The primary spermatocytes (44+XY) undergo first meiotic division (reductional division) to form two secondary spermatocytes. The secondary spermatocytes thus have haploid number of chromosomes.c. Each secondary spermatocyte (22+X/Y) immediately undergoes second meiotic division to form two spermatids (22+X/Y).d. Thus, four haploid spermatids are produced from the meiotic division of one primary spermatocyte. The spermatids are small cells of about half the size of the secondary spermatocyte, and have round and darkly stained nuclei.e. Each spermatid gradually changes its stage to become spermatozoon or sperm. This transformation of circular spermatid into an elongated spermatozoon is called spermiogenesis.